CPITN stands for
1. Community Periodontal Index with Treatment Needs
2. Community Periodontal Index for Treatment Needs
3. Community Periodontal Index of Treatment Needs
4. Community Periodontal Index and Treatment Needs

Correct answer: 3. Community Periodontal Index of Treatment Needs